Lignocaine can be used in all except-
1. Ventricular fibrillation
2. Spinal Anaesthesia
3. Epidural Anaesthesia
4. Convulsion

Correct answer: 4. Convulsion

Explanation: Lignocaine Injection belongs to two groups of medicines known as local anaesthetics and antiarrhythmic drugs. Local anaesthetics stop pain and feeling in the area around where it is injected; antiarrhythmic drugs work by restoring irregular and/or rapid heart beats to normal.